Like scale is?
1. Ordinal scale
2. Nominal scale
3. Variance scale
4. Categorical scale

Correct answer: 1. Ordinal scale